Mechanism of Calcitriol is:
1. Decreased calcium resorption from bone
2. Increase calcium absorption from intestine
3. Decreased calcium absorption from kidney
4. Decrease calcium absorption from intestine

Correct answer: 2. Increase calcium absorption from intestine